Chacroid is caused by?
1. N. Gonnorrea
2. H. Ducrei
3. T. Pallidum
4. H. Influenza

Correct answer: 2. H. Ducrei

Explanation: See APPENDIX-47 for list of “STDs” CHANCROID (SOFT SORE) This venereal infection is caused by the Gram-negative bacillus Haemophilus ducreyi.
One to 5 days postinfection, a soft sloughy ulcer appears on the penis or vulva.
The treatment of choice is erythromycin (500 mg 6-hourly for 14 days).